Haematogenous spread to brain occurs in following infection except
1. Naegleria
2. Ent. histolytica
3. Strongyloides
4. P. falciparum

Correct answer: 1. Naegleria

Explanation: (A) Naegleria # In case of Nagleria fowleri, human infection comes through water containing the amoebae and usually follows swimming or diving in ponds.> Amoebae invades through the olfactory nerve branches in the cribriform plate into the meninges and brain to initiate an acute purulent meningitis and encephalitis (primary amoebic meningoencephalitis).